Peptide YY is secreted by
1. Stomach
2. Duodenum
3. Ileum
4. Pancreas

Correct answer: 3. Ileum

Explanation: Peptide YY - ileum
Motilin - Duodenum and jejunum.